Apremilast acts by inhibiting :
1. IL-17
2. CD25
3. PDE-4
4. IL-23

Correct answer: 3. PDE-4

Explanation: Apremilast is a PDE-4 inhibitor used in the treatment of Plaque psoriasis.